Approach used For Brachial plexus Block include the following EXCEPT
1. Suprascapular
2. Interscalene
3. 3 in 1 block
4. Axillary

Correct answer: 3. 3 in 1 block

Explanation: Ans. C. 3 in 1 block. (Miller's Anesthesia Review 2nd/pg. 179)Brachial plexus block approaches:A. Continuous Interscalene approaches->Interscalene block--classic approach.>Intersternocleidomastoid Approach>Parascalene Approach>Paravertebral Approach (Posterior Approach)B. Continuous Infraclavicular approaches>The Coracoid Approach of Whiffler>The Modified Approach of the Raj Technique